Bifringence polarization microscopy is used for ?
1. Flagella
2. Intracellular structures
3. Capsule
4. Spores

Correct answer: 2. Intracellular structures

Explanation: Ans. is `b' i.e., Intracellular structures Polarization microscope enables the study of intracellular structure using differences in bifringence.